Widened Bat wing sylvian fissures is associated with?
1. Maple Syrup urine disease
2. Galactosemia
3. Canavans Disease
4. Glutaric Aciduria

Correct answer: 4. Glutaric Aciduria

Explanation: Bat wing sylvian fissure- Glutaric aciduria type 1 Glutaric aciduria type I is caused by an inherited deficiency of the enzyme glutaryl-CoA dehydrogenase. This leads to accumulation of glutaric acid and 3-hydroxyglutaric acid in the brain and body fluids, including urine (hence the name glutaric aciduria). Figure: Axial T2 weighted image showing Bat wing sylvian fissure Figure: Axial T2 weighted image MRI showing Bat wing sylvian fissure.